Curshmann's crystals are seen in
1. Bronchial asthma
2. Bronchiectasis
3. Chronic bronchitis
4. Wegners granulomatosis

Correct answer: 1. Bronchial asthma

Explanation: Ref: Textbook of pathology (Harsh Mohan) 6th edition, page No.484 MORPHOLOGIC FEATURES. The pathologic changes are similar in both major types of asthma. The pathologic material examined is generally autopsy of lungs in patients dying of status asthmaticus but the changes are expected to be similar in non-fatal cases. Grossly, the lungs are overdistended due to over-inflation. The cut surface shows characteristic occlusion of the bronchi and bronchioles by viscid mucus plugs. Microscopically, the following changes are observed: 1. The mucus plugs contain normal or degenerated respiratory epithelium forming twisted strips called Curschmann's spirals. 2. The sputum usually contains numerous eosinophils and diamond-shaped crystals derived from eosinophils called Charcot-Leyden crystals. 3. The bronchial wall shows thickened basement membrane of the bronchial epithelium, submucosal oedema and inflammatory infiltrate consisting of lymphocytes and plasma cells with prominence of eosinophils. There is hypertrophy of submucosal glands as well as of the bronchial smooth muscle. 4. Changes of bronchitis and emphysema may supervene, especially in intrinsic asthma.